Cavitation in pulmonary metastasis is commonly associated with?
1. Squamous cell carcinoma
2. Adenocarcinoma
3. Chondrosarcoma
4. Osteosarcoma

Correct answer: 1. Squamous cell carcinoma

Explanation: Cavitation in pulmonary metastases is a feature of Squamous cell carcinoma. Calcification in pulmonary metastasis is a feature in Osteosarcoma and chondrosarcoma.